A 75-year-old male patient is accompanied by his wife.The patient's wife is concerned that since starting some new medications for his Parkinson's disease, he has started acting differently. She reports that since starting the new medication he has started gambling and making inappropriate sexual comments to the cleaning maid. Which medication is likely to be responsible for this new behaviour?
1. Levo+Carbidopa
2. Ropinirole
3. Bromocriptine
4. Entacapone

Correct answer: 2. Ropinirole

Explanation: The presentation of the patient is of disinhibition. Ropinirole is associated with impulse control disorder (pathological gambling and hypersexuality) Option A- (Levodopa + Carbidopa) given for management of Parkinson's disease. it is not associated with disinhibition. Option C- Bromocriptine -Cause Raynaud's phenomenon, doesn't cause any behavioral change. Option D-Entacapone is COMT inhibitor. S/E: mainly nausea, vomitting and dyskinesia